A male presenting with respiratory distress is put on a ventilator. Tracheal culture was obtained and sent for diagnosis. In the meanwhile, he was empirically started on amikacin and ceftriaxone. Culture report after 48 hrs shows growth of Klebsiella pneumoniae which is ESBL +ve on antimicrobial susceptibility testing. The modification needed in his antibiotic treatment is:
1. Replace ceftriaxone with ceftazidime
2. Omit amikacin and add a quinolone
3. Replace ceftriaxone with imipenem
4. Continue the same antibiotics at higher doses

Correct answer: 3. Replace ceftriaxone with imipenem

Explanation: ESBL +ve Klebsiella pneumoniae is resistant to cephalosporins, aminoglycosides, tetracyclines, and TMP-SMX. It is sensitive to amikacin or carbapenems. Ref: Russo T.A., Johnson J.R. (2012). Chapter 149. Diseases Caused by Gram-Negative Enteric Bacilli. In D.L. Longo, A.S. Fauci, D.L. Kasper, S.L. Hauser, J.L. Jameson, J. Loscalzo (Eds), Harrison's Principles of Internal Medicine, 18e.